Crown completion of deciduous mandibular 1st molar occur:
1. At birth
2. 1 ½ months after birth
3. 9 months after birth
4. 5 ½ months after birth

Correct answer: 4. 5 ½ months after birth